Action of which of the following drug is rapidly terminated:
1. Succinylcholine
2. Atracurium
3. Pancuronium
4. D-tubocurarine

Correct answer: 1. Succinylcholine

Explanation: Ans: a (Succinylcholine) Ref: KDT, 6 344, Ajay Yadav, 2 ed, p. 86"Succinylcholine is the shortest acting skeletal muscle relaxant."Succinylcholine3-6 minAtracurium20-35 minPancuronium40-80 minD-tubocurarine30-60 minMetabolism of succinylcholine:Metabolised in plasma by psendocholinesterase (whieh is synthesised by liver)Should be given at a faster rate.Rapid, complete, predictable paralysis with spontaneous recovery in ~ 5 min."Friends, study this well. The following list may look exhaustive, but is extremely worthwhileFrequently asked questions regarding SMR:Shortest acting non-depolarizing SMR- mi vacurium (10- 20 min)Shortest acting depolarizing SMR- succinylcholine (3-6 min)Overall shortest acting SMR- succinylcholineLongest acting SMR- pipecuroniumMost potent nondepolarizing SMR- doxacuriumLeast potent nondepolarizing SMR- gallamineSMR to undergo Hoffman's elimination- atracuriumSMR safe in renal failure & hepatic failure- atracuriumSMR C/I in pregnancy & renal failure- gallamineSMR with maximum histamine release- D-tubocurarineSMR with minimum histamine release- vecuroniumSMR used in bronchial asthma- atracurium. vecuroniumSMR C/I in hepatic failure- d-Tc, succinylcholine, pancuroniumSMR used to reduce BP- d-TcSMR used to maintain BP- pancuronium